Sclerosing cholangitis is associated with ?
1. Ulcerative colitis
2. Celiac sprue
3. Wilson's disease
4. Whipple's disease

Correct answer: 1. Ulcerative colitis

Explanation: Ans. is 'a' i.e., Ulcerative colitiso Its seem to be associated with ulcerative colitis and occasionally Crohn's disease (Ulcerative colitis seen in approx 2/3" of patients of PSC).